Which of the following finding is not suggestive of intrinsic hepatic fibrosis:
1. Bulging flanks
2. Collateral flow toward umbilicus
3. Everted umbilicus
4. Venous hum

Correct answer: 2. Collateral flow toward umbilicus

Explanation: In caput medusa the blood flows away from the umbilicus and is suggestive of portal hypertension. The increased flow results in a venous hum. The abdominal distention due to ascites explains flank fullness and everted umbilicus.